Amaurotic cat's eye is not seen in:
1. Cataract
2. Cyclitic membrane
3. Glaucoma
4. Retrolental fibroplasia

Correct answer: 3. Glaucoma

Explanation: Ans. Glaucoma